Adder head appearance on I.V.P is seen in
1. Ureteral duplication
2. Ureterocele
3. Ureteric hypoplasia
4. Polycystic kidneys

Correct answer: 2. Ureterocele

Explanation: Ans. (b) UreteroceleRef.: Bailey & Love 26th ed. /1285A ureterocele is a congenital saccular dilatation of terminal portion of the ureter. The most common presentation is that of urinary tract infection or uro-sepsis in children. Stasis of urine can lead to calculus formation. Some children may present with palpable mass due to hydro nephritic kidney .Cyst may prolapse into internal urethral opening causing obstruction to bladder outflow. This condition may remain unrecognized until adult life. Ureterocele is usually discovered on radiological examination or during endoscopy.